Late rupture of tubal pregnancy is seen in?
1. Interstitial
2. Isthmus
3. Ampulla
4. Fimbriae

Correct answer: 1. Interstitial

Explanation: Order of site of ectopic pregnancy to rupture: Ampulla (70 percent) is the most frequent site, followed by isthmic (12 percent), fimbrial (11 percent), and interstitial tubal pregnancies (2 percent) Ampullary rupture is most common in ectopic pregnancy which happens usually between 6-8 weeks of ectopic pregnancy Interstitium: Late rupture of tubal pregnancy is seen